The following anticancer drug is naturally obtained from plants?
1. Cisplatin
2. Tretinoin
3. Vincristine
4. Omalizumab

Correct answer: 3. Vincristine

Explanation: Naturally obtained anticancer drugs are vinca alkaloids, taxanes, L-Asparginase, and camptothecins.Ref: Sharma and Sharma 3rd ed /Pg: 866